All of the following can be seen in bone marrow of myelodysplastic syndrome (MDS) cases, except:
1. Pseudo-Pelger-Huet cells
2. Cloud-like megakaryocytes
3. Ring sideroblasts
4. Megaloblastic change in erythroid precursors

Correct answer: 2. Cloud-like megakaryocytes

Explanation: 'Cloud-like' megakaryocytes are seen in primary myelofibrosis. Morphological features of myelodysplastic syndrome (MDS) seen in bone marrow: Rring sideroblasts Megaloblastic erythroid maturation Nuclear budding abnormalities in erythroid precursors (dyserythropoiesis) Pseudo-Pelger-Huet cells Megakaryocytes with single nuclear lobes or multiple separate nuclei ('pawn ball' megakaryocytes)